The most common electrolyte disorder encountered in clinical practice
1. Hyponatremia
2. Hypocalcemia
3. Hypernatremia
4. Hypokalemia

Correct answer: 1. Hyponatremia

Explanation: Hyponatremia is the most common electrolyte disorder encountered in clinical practice and may occur in up to 15% to 25% of hospitalized patients.